A road traffic accident patient presents with breathlessness. Differentiation between cardiac tamponade and tension pneumothorax is best done by?
1. Pulse pressure
2. Pulse volume
3. JVP
4. Breathing sounds

Correct answer: 4. Breathing sounds

Explanation: Ans. (d) Breath soundsRef. B&L page 354/ 26th Edition* Both Tension pneumothorax and Cardiac tamponade both present with breathlessness, tachypnea and distended neck veins* Tension pneumothorax features - Hyper resonance over the chest and absent breath sounds.* Cardiac tamponade - Classically, the presentation consists of venous pressure elevation, decline in arterial pressure with tachycardia, and muffled heart sounds.